Hyaline cartilage of respiratory tree extends upto-
1. Tertiary bronchiole
2. Secondary bronchiole
3. Terminal bronchiole
4. Bronchi

Correct answer: 4. Bronchi

Explanation: The trachea and bronchi have cartilage (hyaline cartilage) in their walls but relatively little smooth muscles.
The walls of bronchiole and terminal bronchioles do not contain cartilage instead, they contain more smooth muscles.